The interaction of histamine with its H2 receptor in the parietal cell results in
1. An increase in intracellular sodium concentration
2. An increase in intracellular cAMP production
3. An increase in intracellular cGMP production
4. A decrease in intracellular calcium concentration

Correct answer: 2. An increase in intracellular cAMP production